Paraneoplastic syndrome not seen in renal cell cancer is?a)  Acanthosis nigricansb) Amyloidosisc)  Polycythemiad)  SLE
1. b
2. c
3. ad
4. ab

Correct answer: 3. ad